True about superior oblique origin and insertion?
1. Originate from common tendinous ring and inserted into sclera behind the equator
2. Originate from the body of sphenoid and inserted into the sclera behind the equator
3. Originate from lesser wing of sphenoid and inserted into sclera in front of equator
4. Originate from greater wing of sphenoid and inserted into sclera in front of equator

Correct answer: 2. Originate from the body of sphenoid and inserted into the sclera behind the equator

Explanation: Superior Oblique muscle: Origin : from body of sphenoid (superomedial to optic canal - opening in lesser wing of sphenoid ) Insertion - Sclera of the eyeball posterior to equator of eyeball Trochlea gives trochlear nerve supplying S.O.M Actions of S.O.M: depression, abduction & intorsion